Periodontal diseases associated with neutrophil disorders include
1. Acute necrotizing ulcerative gingivitis
2. Localized juvenile periodontitis
3. Rapidly progressive periodontitis
4. All the above

Correct answer: 4. All the above